Most common cause of sudden death
1. Ventricular fibrilation
2. Atrial fibrilation
3. PSVT
4. A-V block

Correct answer: 1. Ventricular fibrilation